Congenital hepatic fibrosis is a characteristic feature of
1. Multicystic renal dysplasia
2. ARPKD
3. Familial juvenile nephronophthisis
4. Medullary sponge kidney

Correct answer: 2. ARPKD

Explanation: Infantile and Iuvenile forms are associated with congenital Hepatic fibrosis.